Primary abnormality in sequence of events leading to DIC is-
1. Fibrin deposits in multiple sites
2. Uncontrolled thrombin generation
3. Abnormal adhesion and consumption ofplatelets
4. Destruction of red cells

Correct answer: 2. Uncontrolled thrombin generation

Explanation: The sequence of events in DIC are: activation of coagulation, thrombotic phase,consumption phase,secondary fibrinolysis. Massive tissue injury ,infections ,widespread endothelial damage stimulates widespread activation of coagulation pathway bye release of tissue factor & uncontrolled thrombin generation is the primary pathway.Reference:Harsh mohan textbook of pathology sixth edition pg no 337